True about slow sand filter is –
1. Occupies less space
2. More expensive
3. Requires longer duration
4. Sand size 0.4 - 0.7 mm

Correct answer: 3. Requires longer duration

Explanation: Slow sand filter occupies large area (more space).
Slow and filter requires less skilled operation.
Slow sand filter removes more bacteria and has better bacterial control (99.9-99.99%)
Slow sand filter requires longer duration for purification.
Size of sand is smaller (0.2-0.3 mm).
Slow sand filter requires more time (duration).